Heart failure cells are:
1. Lipofuscin granules in cardiac cells
2. Pigmented hepatocytes
3. Pigmented alveolar macrophages
4. Pigmented cells in pancreas

Correct answer: 3. Pigmented alveolar macrophages

Explanation: Ans. C: Pigmented alveolar macrophagesHeart failure cells are hemosiderin-containing macrophages in the alveoli.The main causes are left heart failure and chronic pulmonary edema.In left heart failure, the left ventricle cannot keep pace with the incoming blood from the pulmonary veins. The resulting backup causes increased pressure on the alveolar capillaries and red blood cells leak out.Alveolar macrophages ingest the red blood cells, and become engorged with brownish hemosiderin.In pulmonary edema, alveolar septa get thick and fibrous, again increasing pressure on alveolar capillaries and resulting in leakage of red blood cells which undergo phagocvtosis by alveolar macrophages.